Smoke index is used for-
1. Air pollution
2. Soundpollution
3. Excreta
4. None

Correct answer: 1. Air pollution

Explanation: Monitoring of air pollution
Monitoring of air pollution is done by : -

Sulphur dioxide.
Gritt and dust measurement.
Co-efficient of haze.
Air pollution index.
Smoke or soiling index